Which of the following is the most appropriate treatment for panic disorder?
1. Buspirone plus benzodiazepines
2. Benzodiazepines plus supportive therapy
3. Short - term benzodiazepine plus SSRI plus CBT
4. Long - term benzodiazepine plus venlafaxine

Correct answer: 3. Short - term benzodiazepine plus SSRI plus CBT

Explanation: Management plan for panic disorder Psychological treatment Self-help books, computerized cognitive behavioral therapy Cognitive behavioral therapy Pharmacotherapy Antidepressants Social interventions